Which of the following is true regarding lattice formation
1. Associated with precipitation and not agglutination
2. Associated with agglutination and not precipitation
3. Associated with both precipitation and agglutination
4. Associated with neither precipitation and nor agglutination

Correct answer: 3. Associated with both precipitation and agglutination

Explanation: Lattice formation is possible only in the zone of equivalence.in the zones of antibody or antigen excess lattice doesn't enlarge as their respective valencies are stisfied,this lattice hypothesis holds good for agglutination also. Ref: anantnarayan and panikers 10 th edition.